Whiff test is done for:
1. Vaginal candidiasis
2. Trichomoniasis
3. Bacterial vaginosis
4. Syphilis

Correct answer: 3. Bacterial vaginosis

Explanation: Whiff test is done to diagnose Bacterial vaginosis, where "Fishy amine odor" is seen after adding KOH to the discharge sample.